Which of the cephalosporin is used in pseudomonas aeruginosa:?
1. Cefadroxil
2. Cefuroxime
3. Ceftazidime
4. Cefotaxime

Correct answer: 3. Ceftazidime

Explanation: Ans. C. Ceftazidime4 and 5 generations of cephalosporins can be given for pseudomonas infection. Only ceftazidime and cefoperazone are the third generation drugs given as antipseudomonal agents.